Which of the following statements regarding the regulation of gastrointestinal motility is true?
1. Sympathetic stimulation inhibits motility.
2. Parasympathetic stimulation inhibits motility.
3. Gastrointestinal motility is not influenced by the central nervous system (CNS).
4. Gastrointestinal motility is not influenced by hormones.

Correct answer: 1. Sympathetic stimulation inhibits motility.

Explanation: The gastrointestinal tract is regulated by both the sympathetic and parasympathetic branches of the autonomic nervous system.
The parasympathetic system is stimulatory and the sympathetic system is inhibitory. 
The CNS does influence motility and secretory activity through the autonomic nervous system.
Numerous endocrine factors (secretin, gastrin, cholecystokinin, etc.) are also involved with the regulation of gastrointestinal activity.